The group of organism HACEK , causing infective endocarditis include following except -
1. Haemophilus
2. Actionobacillus
3. Corynebacterium
4. Eikenella

Correct answer: 3. Corynebacterium

Explanation: Ans. is 'c' i.e., Cornebacterium . HACEK group includes Haemophilus species, Actinobacillus, Cardiobacterium hominis, Eikenella corrodens and Kingella kingae.